Which one is not true regarding pseudocyst of pancreas -
1. Epigastric mass
2. Increase level of amylase
3. Cystogastrostomy is the ideal T/t
4. Percutaneus aspiration is the T/t

Correct answer: 4. Percutaneus aspiration is the T/t

Explanation: Ans is 'd' ie Percutaneous aspiration is the t/t Percutaneous aspiration is preferred only in cases of infected cyst and abcesses, other wise internal drainage is the t/t of choice. Epigastric mass is the main symptom of pseudocyst. Increased level of amylase is usually elevated with pancreatic pseudocysts.